Which of the following is not a Chest radiographic feature of Left atrial enlargement?
1. Double Left heart border
2. Elevated Left main bronchus
3. Splaying of carina
4. Enlargement of Left atrial appendage

Correct answer: 1. Double Left heart border

Explanation: * Left atrial enlargement / Mitral stenosis: Features: * Straighten of left heart borders * Widening of carina with elevated left main bronchus * Has double right heart borders * Enlargement of left atrial appendage * Indentation of oesophagus